Overactive nodule, which takes up isotope while the surrounding gland does not, is known as:
1. Hot nodule.
2. Warm nodule.
3. Cold nodule.
4. All of the above.

Correct answer: 1. Hot nodule.